Interleukin secreted by macrophages, stimulating lymphocytes is -
1. INF alpha
2. TNF alpha
3. IL-1
4. IL-6

Correct answer: 3. IL-1

Explanation: Interleukin -I o Also known as leucocyte activating factor (LAF) or B cell activating factor (BAF). Mainly secreted by macrophages and monocytes; and epithelial cells. Other sources are B-lymphocytes, fibroblasts and Endothelial cells. o Immunological effects of IL-1 Activation of T cells for the production of IL - 2. B cell proliferation and antibody synthesis Neutrophil chemotaxis and increased PMN release from bone marrow. Increases body temperature (important endogenous pyrogen). Bone marrow cell proliferation Induction of acute phase protein.